Most sensitive investigation for diagnosis of Meckel's diverticulum is?
1. USG
2. CT Scan
3. Barium enema
4. 99m-Tc pertechnetate scan

Correct answer: 4. 99m-Tc pertechnetate scan

Explanation: Ans DImaging wise Meckel diverticulum appears like normal bowel, however Meckel's bleeds because it has ectopic gastric mucosa - secretes acid - damages the mucosa. Most common presentation of Meckel's: GI bleedingQ with abdominal pain. Tc99m - pertechnate scan is most sensitive for diagnosisQ